Danazol is used in all except :
1. Hirsutism
2. Endometriosis
3. Dysfunctional uterine bleeding
4. Fibroid

Correct answer: 1. Hirsutism